Essential for tumor metastasis is-
1. Angiogenesis
2. Tumorogenesis
3. Apoptosis
4. Inhibition of Tyrosine kinase activity

Correct answer: 1. Angiogenesis

Explanation: Angiogenesis is the mechanism of formation of new blood vessels. It is very critical in establishing the metastasis at the new area. Basic Pathology, Robbins. Page no.: 194